An HIV positive patient is pregnant. During which of the following stage is HIV transmission maximum?
1. Labour
2. Early pregnancy
3. Late pregnancy
4. Post delivery

Correct answer: 1. Labour

Explanation: Majority of HIV transmission occur during labour (40-80%). Perinatal transmission of HIV: Vertical transmission of HIV to the neonate is about 14 - 25%. Transmission of HIV 2 is less frequent (1-4%) than HIV 1(14-35%). Vertical transmission of HIV is more in cases with preterm birth and with prolonged membrane rupture. Risk of vertical transmission is directly related to maternal viral load and inversely to maternal immune status. Maternal anti retro viral therapy reduces the risk of vertical transmission by 70%. Breast feeding increases HIV 1 transmission by 14%. Ref: Textbook of Obstetrics By D.C Dutta, 6th edn, page 300.